A 29 year old male found HBsAg positive with highly increased SGOT levels but HBeAg negative. Which of the following is true about the status of the patient?
1. Precore mutant
2. Core-promoter mutant
3. Wild type mutant
4. Surface mutant

Correct answer: 1. Precore mutant